Cabbage like odour is found from body fluids in which of the following metabolic disorders?
1. Phenylketonuria
2. Tyrosinemia
3. Maple syrup urine disease
4. Isovaleric academia

Correct answer: 2. Tyrosinemia

Explanation: Cabbage like odour is found from body fluids in- Tyrosinemia